In aluminum phosphide poisoning not true is -
1. Accumulation of acetylcholine at NM junction
2. Cytochrome oxidase
3. Phosphine formation
4. Metabolic acidosis

Correct answer: 1. Accumulation of acetylcholine at NM junction

Explanation: Accumulation of Ach at NM function is seen in poisoning with organophosphates.
In Aluminum phosphide poisoning there is formation of phosphine, metabolic acidosis and inhibition of cytochrome oxidase.